Paradoxical suicide is
1. Suicide seen in caretakers of depression
2. Suicide seen in children of depressed individuals
3. Suicide seen in parents of depressed individuals
4. Suicide seen after initiation of treatment

Correct answer: 4. Suicide seen after initiation of treatment

Explanation: "Paradoxical suicide": Antidepressants to patients cures the motor symptoms first followed by mood, hence the patient after initiation of antidepressants become active enough and may commit suicide.